According to Maslow’s hierarchy of needs, following is at the top of pyramid
1. Physical needs
2. Self actualization
3. Safety
4. Esteem recognition

Correct answer: 2. Self actualization

Explanation: Social Pathology : Is the study of social problems which undermine the social, psychological or economical health of the populations; it is used to describe relationship between disease and social conditions.
Social pathology is uncovered by 'Social surveys'.